The first ossification center of the mandible in a 6 weeks old human embryo is found in which one of the following locations?
1. Future coronoid process
2. Future condylar process
3. Future mental foramen
4. Future mandibular foramen

Correct answer: 3. Future mental foramen